The most malignant endometrial carcinoma is :
1. Adenocarcinoma
2. Adenoacanthoma
3. Mixed adenosquamous carcinoma
4. Clear cell carcinoma

Correct answer: 4. Clear cell carcinoma

Explanation: Ans. is d i.e. Clear cell carcinoma Endometrial cancers can be histologically classified as : Features Type I 'Type II Unopposed estrogen Present Absent Menopausal status Pre-and perimenopausal Postmenopausal Hyperplasia Present Balck Race White Black Grade Low High Myometrial invasion Minimal Deep Specific subtypes Endometrioid Serous, clear cell Behavior Stable Aggressive non ednometriod / type II endometrial cancer (clear cell carcinoma) have poor prognosis. Also know : Clear cell carcinoma : It accounts for < 5% of all endometrial carcinoma. The cells have highly atypical nuclei and abundant clear or eosinophilic cytoplasm. The cells have hobnail configuration. It characteristically occurs in older women and is very aggressive type of endometrial cancer. Prognosis is similar to or worse than papillary serous carcinoma.